A patient presents with mediastinal mass with sheets of epithelial cells giving arborizing pattern of reactivity on keratin, along with interspersed lymphoid cells. The most probable diagnosis is:
1. Thymoma
2. Thymic carcinoid
3. Primary mediastinal lymphoma
4. Non-Hodgkin lymphoma

Correct answer: 1. Thymoma

Explanation: . Thymoma